Which of the following is not seen in adults ?
1. Kawasaki disease
2. Henoch schonlein purpura
3. Susac syndrome
4. Takayasu arteritis

Correct answer: 1. Kawasaki disease

Explanation: Kawasaki is an acute febrile mucocutaneous lymph node syndrome mainly affecting infants and young children. It is a common vasculitic disorder of childhood and has replaced acute rheumatic fever as leading cause of acquired heart disease in children in many countries